Which of the following is not nephrotoxic ?
1. Tobramycin
2. Kanamycin
3. Ampicillin
4. Amphotericin B

Correct answer: 3. Ampicillin